A patient presents with lower gastrointestinal bleed. Sigmoidoscopy shows ulcer in the sigmoid. Biopsy from this area shows flask-shaped ulcers. Which of the following is the most appropriate treatment -
1. Intravenous ceftriaxone
2. Intravenous metronidazole
3. Intravenous steroids and sulphasalazine
4. Hydrocortisone enemas

Correct answer: 2. Intravenous metronidazole

Explanation: it is a case of amoebiasis Two classes of drugs are used in the treatment of amoebiasis-- luminal amoebicides (e.g. diloxanide furoate, iodoquinol, paromomycin, tetracycline) acting in the intestinal lumen, but not in tissues. tissue amoebicides (e.g. emetine, chloroquine) effective in systemic infection, but less so in the intestine. Metronidazole and related compounds act at both sites. TEXTBOOK OF MEDICAL PARASITOLOGY,CKJ PANIKER,6TH EDITION,PAGE NO29